Brazilian purpuric fever is caused by:
1. Bordetella pertussis
2. Haemophilus aegypticus
3. Haemophilus duceryi
4. Haemophilus parinfluenzae

Correct answer: 2. Haemophilus aegypticus

Explanation: Ans. is. 'b' i. e., Haemophilus aegypticus